Which of the following structures is NOT derived from mesoderm?
1. Skeletal muscles
2. Cardiac muscles
3. Suprarenal medulla
4. Adrenal cortex

Correct answer: 3. Suprarenal medulla

Explanation: Suprarenal medulla develops from neural crest cells. Axial mesoderm - notochord - nucleus pulposus of intervertebral disc. Para - axial mesoderm - somites - skeletal muscles. Intermediate mesoderm - genitourinary system - kidney, testis, ovary. Lateral mesoderm - cardiac & smooth muscles.